True about t 1/2 ?
1. Time required to reduce the plasma conc. to half
2. Zero order kinetics - t 1/2 remains constant
3. First order kinetics - t 1/2 increases
4. Complete drug elimination occurs in 2-3 t 1/2

Correct answer: 1. Time required to reduce the plasma conc. to half

Explanation: Ans. is 'a' i.e., Time required to reduce the plasma conc. to half Half life PA It is the time required to reduce the plasma concentration to half (50%) of the original value. It determines the dosing interval and time required to reach the steady state. It is a secondary pharmakokinetic parameter derived from two primary parameters, volume of distribution (Vd) and clearance (CL).